Ulnar nerve injury at wrist involves following except :
1. Palmar interossei
2. Opponems pollicis
3. Dorsal interossei
4. Adductor pollicis

Correct answer: 2. Opponems pollicis

Explanation: B. i.e. Oppenens polices Ulnar nerve in hand supply-3rd & 4"1 lumbricals, interossei (pabnar & dorsal), adductor pollicis & hypothenar musclesQ.